14.All of the following are true about antrochonal polyp,except:
1. Single
2. Unilateral
3. Premalignant
4. Arises from maxillary antrum

Correct answer: 3. Premalignant

Explanation: Ref: Dhingra 7e pg 195.